Which of the following structure forms the superior border of Epiploic foramen?
1. Head of pancreas
2. Caudate lobe of liver
3. Lesser omentum
4. IVC

Correct answer: 2. Caudate lobe of liver

Explanation: Caudate process of caudate lobe of the liver forms the superior border of epiploic foramen.The right margin of the lesser sac opens into the greater sac through the opening of the lesser sac called Epiploic foramen. Boundaries of epiploic foramen are formed by: Anteriorly: Free border of the lesser omentum, bile duct, hepatic artery and portal vein.Posteriorly: Inferior vena cavaSuperiorly: Caudate process of caudate lobe of the liverInferiorly: First part of the duodenum. Ref: Clinical Anatomy by Regions By Richard S. Snell, 8th edn, page 208